Omeprazol is used in the treatment of
1. Peptic Ulcer
2. Amoebiasis
3. Malaria
4. Cholera

Correct answer: 1. Peptic Ulcer